Which of the follow ing are false about erectile dysfunction-
1. Psychogenic eriecile dysfunction is distin guished from organic erectile dysfunction by PIPE therapy.
2. Sildenafil is used for treatment
3. Nocturnal penile tumescence is maintained in psychological erectile dysfunction
4. Sensate focus therapy aims at sensitizing nongenital areas

Correct answer: 1. Psychogenic eriecile dysfunction is distin guished from organic erectile dysfunction by PIPE therapy.

Explanation: Ans. is 'a' i.e., Psychogenic erectile dysfunction is dintinguished from organic erectile dysfunction by PIPE therapyDisorder of sexual arousal (Impotence or erectile dysfunction)o This disorder is characterized by an inability to have or sustain penile erection till the completion of satisfactory sexual activity. One of the important method to distinguish psychogenic impotence from organic impotence is nocturnal penile tumescence & early morning erection which are preserved in psychogenic impotence but not in organic cause of impotence.o Phosphodiesterase-5-inhibitors (Sildenafil, Todafll, vardenafil) are the drug of choice for erectile dysfunction. Other treatment includes PIPE therapy (Papaverine/Phentolamine induced penile erection), Alprastadil (Prostaglandin El), Androgens, and penile prosthesis/vaccume constrictor device. Sensate focus technique is the method in which the aim is to discover on body (excluding genitals) sensate focus, where manipulation leads to sexual arousal.